Battle's sign is seen in
1. Linear fracture
2. Basilar fracture
3. Depressed fracture
4. Diastatic fracture

Correct answer: 2. Basilar fracture

Explanation: (B) Basilar fracture# BATTLE'S SIGN is ecchymosis of the mastoid process of the temporal bone seen in basilar skull fracture (or basal skull fracture) which is a fracture of the base of the skull, typically involving the temporal bone, occipital bone, sphenoid bone, and/or ethmoid bone.> Other sign and symptoms include: Raccoon eyes - is periorbital ecchymosis i.e. "black eyes" Cerebrospinal fluid rhinorrhea Cranial nerve palsy Bleeding from the nose and ears Hemotympanum Conductive or perceptive deafness, nystagmus, vomitus.